Which is not a eugenol sealer?
1. Grossman sealer
2. AH-26
3. Tubli seal
4. Wach's paste

Correct answer: 2. AH-26